Good prognostic factor for AML are all except ?
1. Age less than 2 years
2. Acute promyelocytic leukemia
3. Acute megakaryoblastic leukemia
4. Associated with down syndrome

Correct answer: 3. Acute megakaryoblastic leukemia

Explanation: Ans. is 'c' i.e., Acute Mega karyoblastic leukemia Good Prognostic factors for children with AML Prognostic factors are not quite as important in predicting outcome or in guiding treatment for AML as they are for ALL. Age at diagnosis: Children younger than age 2. Initial white blood cell (WBC) count: Children with AML whose WBC count is less than 100,000 cells per cubic millimeter Down syndrome: Children with Down syndrome who develop AML tend to have a good outlook. Subtype of AMrognostic factors are not quite as important in predicting outcome or in guiding treatment for AML as they are for ALL. Age at diagnosis: Children younger than age 2. Initial L: the acute promyelocytic leukemia (APL) M3 subtype tends to have a good outlook, while undifferentiated AML (MO) and acute megakaryoblastic leukemia (M7) are harder to treat. Chromosome changes: Children with leukemia cell translocations between chromosomes 15 and 17 or between 8 and 21, or with an inversion (rearrangement) of chromosome 16 have a better chance of being cured. Response to treatment: Children whose leukemia responds quickly to treatment. Body weight: Children within the normal weight range tend to do better than children who are underweight or overweight.